Leprosy commonly spreads by -
1. Milk
2. Droplet
3. Water
4. Mosquitoes

Correct answer: 2. Droplet

Explanation: There are more and more evidence that leprosy may be transmitted aerosols containing M.leprae (droplet infection). Ref: PARK'S TEXTBOOK OF PREVENTIVE AND SOCIAL MEDICINE 23rd edition pg 317